True statement about arterial occlusion in the leg are all except:
1. Rest pain in limbs
2. Pain in limbs on taking very first step
3. Pain relieved by standing still
4. Pain in limbs on walking

Correct answer: 2. Pain in limbs on taking very first step

Explanation: Ans: B i.e. Pain in limbs on taking very first step Characteristic of pain Rest pain occurs in arterial stenosis, with the limb (usually the leg) at rest; it is exacerbated by lying down or elevation of the foot Pain is not present on taking the first step (unlike osteoarthritis) in arterial stenosis Pain is relieved by standing still (unlike lumbar Intervertebral disc nerve compression) in arterial stenosis Pain in brought on by walking in arterial stenosis